First antibody response is mediated by ?
1. IgE
2. IgM
3. IgA
4. IgD

Correct answer: 2. IgM

Explanation: Ans. is 'b' i.e., IgM